Endothelium-Derived Relaxing Factor (EDRF) induced vasodilatation is mediated by
1. Increased intracellular CGMP
2. Decreased intracellular CGMP
3. Increased extracellular cyclic Amp
4. Decreased intracellular cyclic Amp

Correct answer: 1. Increased intracellular CGMP

Explanation: Endothelium-derived relaxing factor (EDRF) is produced and released by the endothelium to promote smooth muscle relaxation. The best-characterized is nitric oxide (NO). Some sources equate EDRF and nitric oxide. Although there is strong evidence that nitric oxide elicits vasodilation, there is some evidence tying this effect to neuronal rather than endothelial reactions.Ref: Ganong's review of medical physiology; 24th edition; page no: 116